Folinic acid is:
1. 5-formyl tetrahydrofolate
2. 5-formyl dihydrofolate
3. N5, N10-methylene tetrahydrofolate
4. N5, N10-methylene dihydrofolate

Correct answer: 1. 5-formyl tetrahydrofolate

Explanation: * Folinic acid is 5-formyltetrahydrofolate. It is also known as leucovorin and citrovorum factor. * Folinic acid can be directly converted to N5, N10-methylene tetrahydrofolate. Extra:-When methotrexate is used for chemotherapy, normal cells are also affected. * Folinic acid is administered to rescue the normal cells from the toxic effect of methotrexate.